Blow-out fracture of orbit is characterized by all except:
1. Diplopia
2. Tear drop" sign
3. Positive forced duction test
4. Exophthalmos

Correct answer: 4. Exophthalmos

Explanation: Ans. Exophthalmos